In a normal distribution curve, the True statement is
1. Mean = SD
2. Median=SD
3. Mean = 2 Median
4. Mean = Mode

Correct answer: 4. Mean = Mode

Explanation: Ans. is 'd' Mean = Mode The standard normal curve is a smooth bell shaped, perfectly symmetrical curveThe total area of the curve is 1. *Its mean is zero*Its standard deviation is 1 *The mean, median and mode all coincide. *